Coccobacillus grown in BYCE medium is
1. Legionella
2. Streptobacillus
3. Gardenella
4. Neisseria

Correct answer: 1. Legionella

Explanation: Coccobacllus which have fatidious requirements and grow on complex media such as buffered charcoal,yeast extract (BYCE) agar,with L_cysteine and antibiotic supplements with 5%CO2 at PH_6.9, temperature 35degC and 90% humidity is legionella. Ref: anantnarayan and panikers 10 th edition